Biological indicator for determining efficacy of autoclaving is
1. Pseudomonas aeruginosa
2. Clostridium perfringenes
3. Bacillus stearothermophilus
4. Salmonella typhi

Correct answer: 3. Bacillus stearothermophilus

Explanation: Sterilization control METHOD Sterlization control Hot air oven Autoclave Filtration Ionizing radiation (cold sterilization) Ethylene oxide Plasma sterilization Clostridium tetani non toxigenic strain, B.subtilis, sub sp. niger B.Stearothermophillus Brivundimonas dimunata B. Pumilus B.Globigi B.Stearothermophillus